If prevalence of diabetes is 10%, the probability that three people selected at random from the population will have diabetes is -
1. 0.01
2. 0.03
3. 0.001
4. 0.003

Correct answer: 3. 0.001

Explanation: Ref :Parks 23rd edition Prevalence = 10% So probability of selecting a person having DM = 10/100= 0.1 So probability of selecting 3 persons with diabetes = 0.1*0.1*0.1= 0.001